Teratozoospermia refers to?
1. Absence of semen
2. Absence of sperm
3. All dead sperms in ejaculate
4. Morphologically defective sperms

Correct answer: 4. Morphologically defective sperms

Explanation: Ans. (d) Morphologically defective spermsRef: Harrison 18thed ch-346, Smith Urology 17thed p.691, style="font-size: 1.04761904761905em; font-family: Times New Roman, Times, serif"> publications/2010Z9789241547789_eng.pdf